Drug which reaches maximum concentration in gingival 
fluid is:
1. Tetracycline
2. Penicillin
3. Erythromycin
4. Sulphonamide

Correct answer: 1. Tetracycline